The Hemoglobin A1c level indicates the patient's level of glycemic control during the previous
1. 1-2 months
2. 2-3 months
3. 3-4 months
4. 4-5 months

Correct answer: 2. 2-3 months

Explanation: Measurement of glycated haemoglobin (HbA1c) is the standard method for assessing long-term glycemic control. When plasma glucose is consistently elevated, there is an increase in nonenzymatic glycation of haemoglobin; this alteration reflects the glycemic history over the previous 2-3 months because erythrocytes have an average lifespan of 120 days The glycemic level in the preceding month contributes about 50% to the HbA1c value.Harrison 19the pg: 2410